Herd immunity provides protection to-
1. Immunized persons
2. Non immunized persons
3. Both
4. None

Correct answer: 2. Non immunized persons

Explanation: Herd immunity describes a type of immunity that occurs when the vaccination of a portion of the population provides protection to unprotected individuals provides an immunological barrier to the spread of disease in human herd elements-(a) occurence of clinical and sub clinical infection in the herd ( b ) immunization of the herd ( c) herd structure (refer pgno:102 park 23 rd edition).